True about ketamine –
1. Bronchodilator
2. Depressed airway reflexes
3. Causes hypotension
4. Decreases ICT

Correct answer: 1. Bronchodilator

Explanation: Ketamine is a potent bronchodilator.
Ketamine increases BP and ICT.
Airway reflexes (pharyngeal and laryngeal) are not depressed.